Oral contraceptive pill is useful in preventing all of the following except:
1. Carcinoma breast
2. Carcinoma ovary
3. Pelvic inflammatory disease
4. Anaemia

Correct answer: 1. Carcinoma breast